Babloo a 5-year boy presents with small hypopigmented scaly macule on the check. Some of his classmates also have similar lesions. The most probable diagnosis is –
1. Pityriasis rosea
2. Pityriasis versicolour
3. Indeterminate leprosy
4. Pityriasis alba

Correct answer: 4. Pityriasis alba

Explanation: Information in this question are :-


Child patient (5 year old)
Hypopigmented macule
With Scales
Over cheek (i.e. face)